The structure of anatomical significance in Gillies approach is:
1. Superficial temporal artery.
2. Facial Artery
3. Lingual nerve
4. All of the above

Correct answer: 1. Superficial temporal artery.